In isometric exercise all are increased except:
1. Heart rate
2. Cardiac output
3. Mean arterial pressure
4. Systemic vascular resistance

Correct answer: 4. Systemic vascular resistance

Explanation: D i.e. Systemic vascular resistance